Spaghetti and meatball appearance is seen in –
1. Derrnatophytes
2. Aspergillus
3. Pityriasis versicolor
4. Candida

Correct answer: 3. Pityriasis versicolor

Explanation: Tinea versicolor is a misnomer as it is not caused by a dermatophyte; it is caused by a nondermatophytic fungus called Pityrosporum ovale (malasezia furfur). Usually affects young adults.
There are multiple scaly hypopigmented (more common) or hyperpigmented macules. Scaling is fufuracious or rice powder like.